To facilitate the screening of visual-acuity, WHO defines blindness as counting fingers at a distance of:
1. 1 meter
2. 3 meters
3. 6 meters
4. 9 meters

Correct answer: 2. 3 meters

Explanation: Ans. B: 3 meters The WHO proposed a uniform criterion and defined blindness as "visual acuity of less than 3/ 60 (Smellen) or its equivalent" . In order to facilitate the screening of Visual acuity by non-specialized personnel, in the absence of appropriate vision charts, the WHO has now added the "inability to count fingers in daylight at a distance of 3 meters" to indicate less than 3/60 or its equivalent.